In Neuroleptic malignant syndrome, cause of death is -
1. Respiratoryfailure
2. Liver failure
3. Drug toxicity
4. None of the above

Correct answer: 1. Respiratoryfailure

Explanation: Ans. is 'a' i.e. Respiratory failure Causes of death in NMSo Respiratory failureo Pneumoniao Cardiac failureo Renal failureo Thromboembolism